The most common complication of transurethral resection of prostate (TURP)
1. Erectile dysfunction
2. Retrograde ejaculation
3. Urinary incontinence
4. Urethral stricture disease

Correct answer: 2. Retrograde ejaculation

Explanation: Retrograde ejaculation is the most common complication of TURP - 65%. It occurs d/t disruption of bladder neck mechanism. Erectile dysfunction accounts for 5% of complications.The routine use of an Otis urethrotomy prior to TURP reduces the incidence of postoperative stricture.Incontinence is inevitable if the external sphincter mechanism is damaged. This occurs following transurethral surgery only if the resection extends beyond the verumontanum Reference : page 1046 SRB's manual of surgery 5th edition and page 1352 Bailey and Love's short practice of surgery 25th edition